Rose waaler test is?
1. Passive agglutination for rheumatoid arthiritis
2. Active agglutination for rheumatoid arthiritis
3. Passive agglutination for rheumatic fever
4. Active agglutination for rheumatic fever

Correct answer: 1. Passive agglutination for rheumatoid arthiritis

Explanation: WAALER-ROSE Bicolor is a haemagglutination slide test for the rapid qualitative and semi-quantitative detection of IgM Rheumatoid Factor in sera from most patients with rheumatoid arthritis. Ref: Ananthanarayana & panikers 9th edition